Which of the following is a radioprotector?
1. Colony stimulating factor
2. Amifostine
3. Cisplatin
4. Methotrexate

Correct answer: 2. Amifostine

Explanation: AMIFOSTINE: It is an organic thiophosphate which on activation by alkaline phosphatase acts as a cytoprotective against cancer chemotherapy and radiotherapy.It is particularly used for prophylaxis of cisplatin induced neuro/nephrotoxicity and radiotherapy related xerostomia. ESSENTIALS OF MEDICAL PHARMACOLOGY K.D.TRIPATHI SEVENTH EDITION PAGE NO:876